Which of the following is false regarding Mittelschmerz?
1. Treatment is with oestrogen
2. Rarely lasts > 12 hours
3. Spotting may be present
4. Usually occurs around the 14th day of menstrual cycle

Correct answer: 1. Treatment is with oestrogen

Explanation: Mittelschmerz is painful ovulation and no treatment is required apart from explanation and reassurance. Ref: Shaw's Textbook of Gynaecology, 12th Edition, Page 229.